Rituximab is used in all except -
1. Non Hodgkin lymphoma
2. Paroxysomal nocturnal hemoglobinurea
3. Rheumatoid arthritis
4. SLE

Correct answer: 2. Paroxysomal nocturnal hemoglobinurea

Explanation: Ans. is 'b' i.e., Paroxysomal nocturnal hemoglobinurea Rituximab o Rituximab is a targeted antibody against cell surface molecule CD-20, i.e. Rituximab is anti CD-20 antibody. o It is used in : 1. B-cell lymphomas --> Low grade lymphomas, mantle cell lymphomas, relapsed aggressive B cell lymphomas, CLL 2. SLE Rheumatoid arthritis